Cancerous involvement is seen with
1. Chancre
2. Mucous patch
3. Syphilitic glossitis
4. Gumma

Correct answer: 3. Syphilitic glossitis